Conducting zone of the respiratory system is:
1. 1st generation of airways
2. 0th generation to 16th generation of airways
3. 0th generation to 23rd generation of airways
4. 16th to 23rd generation of airways

Correct answer: 2. 0th generation to 16th generation of airways

Explanation: Of the 23 generations, trachea is considered as 0th generation, and trachea and first 16 generations are called "conducting zone". Last 7 generations are called "respiratory zone"; gas exchange occurs in these generations. The gas exchange areas include respiratory bronchioles and alveoli.